IPC 201
1. Evidence disappearance
2. Peijury
3. Voluntary causing grievous hurt
4. Kidnapping

Correct answer: 1. Evidence disappearance

Explanation: Ans. is 'a' i.e., Evidence disappearance o IPC 201 is for causing disappearance of evidenceOther optionso Perjury (fabricating false evidence) - IPC 192o Voluntary causing grievous hurt - IPC 322o Kidnapping-IPC 361-369